General adaptation syndrome is seen in:
1. Stressful situations
2. Anxiety
3. Panic attacks
4. Depression

Correct answer: 1. Stressful situations

Explanation: The physiological response to stressful situations is called general adaptation syndrome. It is fairly consistent among people. It provides an automatic defence system to help cope with the demands of the environment. Ref: Organizational Behaviour: Text And Cases By Kavita Singh, 2009, Page 178